Thumb sign on CT head is seen in?
1. Chordoma
2. Metastasis
3. Glioblastoma multiforme
4. Astrocytoma

Correct answer: 1. Chordoma

Explanation: Thumb sign on CT head is seen in Chordoma. Sella Chordoma Presents with bony clivus erosion and local invasion. Calcification also occurs On FNAC- mucinous material obtained